A defect in xeroderma pigmentosum
1. Nucleotide excision repair
2. Mismatch repair
3. Base excision repair
4. Double strand break repair

Correct answer: 1. Nucleotide excision repair

Explanation: Explanation:
Types of defects in DNA-repair systems and conditions associated